Next to HBV, virus implicated in hepatocellular Ca is
1. HCV
2. Herpes
3. HAV
4. HEV

Correct answer: 1. HCV

Explanation: Ans. is 'a' i.e. HCV Hepatitis B and Hepatitis C viruses can cause hepatocellular carcinoma.